ECT is advocated in all the following except
1. Chronic Schizophrenia
2. Catatonic Schizophrenia
3. Severe depression
4. Severe psychosis

Correct answer: 1. Chronic Schizophrenia

Explanation: INDICATIONS * DEPRESSION SUICIDAL IDEAS-------------- first choice * CATATONIC SCHIZOPHRENIA * Agitation in SCHIZOPHRENIA * MANIA * Ref.Kaplon and sadock, synopsis of psychiatry, 11 th edition, pg no. 1065